All of the following structures pass through lesser sciatic foramen EXCEPT:
1. Pudendal nerve
2. Internal pudendal vessels
3. Nerve to obturator internus
4. Nerve to obturator externus

Correct answer: 4. Nerve to obturator externus

Explanation: Ans. D Nerve to obturator externusRef: BDC, 6th ed. vol. II pg. 74Mnemonic to Remember this Often Asked QuestionN. to obturatour internus NotTendon of obturatour internus. TonightPudendal vessels and nerve. Please